Intravenous induction is preferred to inhalation induction because:
1. Causes less side effects
2. Blood pressure and cardiac output are better maintained
3. There is less danger of respiratory obstruction
4. It is quicker

Correct answer: 4. It is quicker

Explanation: Intravenous induction is faster, smoother and less anxiety causing mode of induction. inhalational induction is only done when intravenous is not possible.